Scabies can be effectively treated systemically by :
1. Psoralens
2. Ivermectin
3. Permethrin
4. Cotrimoxazole

Correct answer: 2. Ivermectin